All of the following are seen in Tumor Lysis Syndrome, except:
1. Hyperkalemia
2. Hypercalcemia
3. Hyperuricemia
4. Hyperphosphatemia

Correct answer: 2. Hypercalcemia

Explanation: Answer is B (Hypercalcemia): Tumor lysis syndrome is associated with Hypocalcemia and not Hypercalcemia Tumor lysis syndrome is a clinical entity characterized by destruction of large number of rapidly proliferating neoplastic cells following chemotherapy.